By what age a child can hold the film:
1. 1 year
2. 2 year
3. 3 year
4. 4 year

Correct answer: 3. 3 year

Explanation: <3 year parents hold the film.
Above 3 years child can hold.